Adenovirus causes all except -
1. Hemorrhagic cystitis
2. Diarrhea
3. Respiratory tract infection
4. IMN

Correct answer: 4. IMN

Explanation: Infectious mononucleosis is caused by EBV